Extremely low birth weight baby is less than ?
1. 1 kg
2. 1.5kg
3. 2 kg
4. 2.5kg

Correct answer: 1. 1 kg

Explanation: Ans. is 'a' i.e., 1 Kg Extremely LBW newborn is one which weighing less than 1000 gm at birth irrespective of gestational age.